A boy gets hit by a tennis ball in the eye following which he has complaints of decreased vision. Which of the following tells that blunt injury is due to the ball?
1. Optic neuritis
2. Pars planitis
3. Vitreous base detachment
4. Equatorial edema

Correct answer: 3. Vitreous base detachment

Explanation: Amongst the given options, only vitreous base detachment is pathognomonic for blunt trauma and is associated with retinal detachment.

"Blunt trauma to eye can cause linear tears of retina along the anterior border or posterior border of vitreous base. Such tears are most common superonasally and inferotemporally and may be accompanied by an avulsed vitreous base, which is pathognomonic of traumatic retinal detachment".  —Atlas of clinical ophthalmology
"Sometimes the retina tear along both the anterior and posterior borders of the vitreous base, the base itself is avulsed and may having like a pigmented loop in the vitreous cavity with its underlying strip of attached retina superonasal avulson of vitreous base is pathognomonic of traumatic retinal detachment". — Harley's pediatric ophthalmology